Most appropriate test to assess the incidence of TB in the community
1. Identify all positives to tuberculin test
2. Sputum examination of symptomatic patients
3. Identify new conveer to tuberculin test
4. Screen all under 5 yrs with tuberculin test

Correct answer: 3. Identify new conveer to tuberculin test

Explanation: Prevalence, Case finding, Incidence